The cardinal features of Parkinson’s syndrome include
1. Constant fine tremor
2. Muscle atrophy
3. Pupillary constriction
4. Akinesia

Correct answer: 4. Akinesia